Hyperuricemia is caused in newborn due to defect in:
1. Adenosine deaminase
2. Ornithine transcarbamylase
3. Xanthine oxidase
4. Hypoxanthine guanine ribosyltransferase

Correct answer: 4. Hypoxanthine guanine ribosyltransferase

Explanation: Plasma uric acid is elevated in Lesch Nyhan disease (Hypoxanthine guanine ribosyltransferase deficiency) Xanthine oxidase deficiency- plasma uric acid | Adenosine deaminase deficiency leads to hypouricemia. Ornithine transcarbamylase deficiency- | ammonia